Dose of which of the following may not be altered with deranged value of GFR -
1. Cefepime
2. Cefoperazone
3. Cefuroxime
4. Tetracycline

Correct answer: 2. Cefoperazone

Explanation: Ans. is 'b' i.e., Cefoperazone o Cefoperazone, ceftriaxone and cefopiramide do not require dose reduction in renal failure.